Type of collagen found in cartilage:
1. Type I
2. Type II
3. Type III
4. Type IV

Correct answer: 2. Type II

Explanation: Collagen has great tensile strength, and is the main component of fascia, cartilage, ligaments, tendons, bone and teeth.Along with soft keratin, it is responsible for skin strength and elasticity, and its degradation leads to wrinkles that accompany aging.It strengthens blood vessels and plays a role in tissue development.It is present in the cornea and lens of the eye in crystalline form.The best stain for use in differentiating collagen from other fibers is Masson's trichrome stain.